A patient who was recently got denature fixed, found with oral thrush. It bleeds on scraping. Causative agent for this condition.
1. Diphtheria
2. Candida
3. Strep Mutans
4. Staph Aureus

Correct answer: 2. Candida

Explanation: Moniliasis (candidiasis). It is caused by Candida albicans and occurs in two forms: 1. Thrush. It appears as white grey patches on the oral mucosa and tongue. When wiped off, they leave an erythematous mucosa. The condition is seen in infant and children. Adults are also affected when they are suffering from systemic malignancy and diabetes or taking broad-spectrum antibiotics, cytotoxic drugs, steroids or radiation. 2. Chronic hypertrophic candidiasis. Also called candidal leukoplakia. The lesion appears as white patch which cannot be wiped off. Mostly affects anterior buccal mucosa just behind the angle of mouth. T/t - Thrush topical application of nystatin or clotrimazole. - Hypertrophic form usually requires excisional surgery.